Waxy flexibility, stereotype verbal, behavioural signs and negative symptoms are feature of?
1. Paranoid schizophrenia
2. Hebephrenic schizophrenia
3. Catatonic schizophrenia
4. Simple schizophrenia

Correct answer: 3. Catatonic schizophrenia

Explanation: Ans. C. Catatonic schizophrenia. (Ref Neeraj Ahuja 5th /pg. 68; Kaplan & Sadock's synopsis of psychiatry:10th/Tab 13-5)Schizophrenia (Catatonic Type )A form of schizophrenia that is characterized by marked psychomotor activity, a variety of catatonic symptoms.Features Of Catatonic Schizophrenia# Bizarre posturing# Rigidity# Echolalia, echopraxia# Mutism# Waxy flexibility# Ambitendancy (no goal directed actions)# Stupor# Negativism (motiveless resistance to all commands and doing opposite)# Other signs (mannerisms, stereotype verbal and behavioural automatic obedience, verbigeration)SchizophreniaParanoidHebephrenic (Disorganized)CatatonicSimpleOccur in later life(3rd or 4th decade).Occurs in early 2nd decade.Occurs in late 2nd or 3rd decade.Occurs in early life (2nd decade).Onset is insidious and course is progressive.Onset is insidious and course is progressive.Onset is usually acute course is episodic.Onset is insidious and course is progressiveProminent preoccupation with a specific delusional system and who otherwise do not qualify as having disorganized-type disease.Disorganized speech and behavior are accompanied by a superficial or silly affect.Clinical presentation is dominated by profound changes in motor activity, negativism, and echolalia or echopraxia. Has best prognosis compared to other subtypes. Completely recovery does not occur.Worst prognosisRecovery from episode is usually complete.Prognosis is usually poor.Schizophrenias||||||| Commonest TypeAmphetamine causesEarly onset & Bad prognosisLate onset & best prognosisVery late (3rd,4th Deacde)Worst pronosis & most difficult to diagnose|||||| ParanoidParanoidhebephrenicCatatonicParanoidSimple Paranoid- Delusions of persecution or grandeur- Often accompanied by hallucinations( voices)Catatonic- Complete stupor or pronounced decrease in spontaneous movements- Alternatively, can be excited and evidence extreme motor agitationDisorganized- Incoherent, primitive, uninhibited- Unorganized behaviors and speech- Active, butr aimless- Pronounced thought disorderUndifferentiated- Psychotic symptoms but does not fit paranoid, catatonic, or disorgazized diagnosesResidual- Previous episode, but not prominent psychotic symptoms at evaluation- Some lingering negatilve symptoms Negative symptomsPositive sympytom- Loss of function- Loose associations- Anhedonia- Hallucinations and delusions- Decreased emotional expression- Bizarre behavior, and- Impaired concentration, and- Increased speech- Diminished social engagement)SCHNEIDER'S FIRST-RANK SYMPTOMS OF SCHIZOPHRENIA INCLUDE:# Withdrawal or broadcasting;# Auditory hallucinations;# Impulses or actions;# Somatic passivity (Mnemonic: WAIST MD)# Thought insertion,# Made feelings,# Delusional perception.EUGEN BLEULER'S FUNDAMENTAL SYMPTOMS OF SCHIZOPHRENIA (4 A'S)# Ambivalence (marked inability to decide for or against)# Autism (withdrawal into self)# Affect blunting (disturbance of affect)# Association disturbances (loosening of association, thought disorder)